Post-mortem autopsy is done for :
1. Whole body
2. Parts which are injured
3. Parts which have been asked for in inquest
4. Parts which relatives have given permission for

Correct answer: 1. Whole body

Explanation: A i.e. Whole body